Length of external auditory canal is:
1. 12 mm
2. 24 mm
3. 36 mm
4. 48 mm

Correct answer: 2. 24 mm

Explanation: External auditory canal of an adult is 24 mm in length. Outer one-third (8 mm) is cartilaginous and inner two thirds (16 mm) are bony. Cartilaginous part contains hair preventing proper visualization of drum.